What is the net ATP's formed in glycolysis?
1. 5
2. 7
3. 10
4. 15

Correct answer: 2. 7

Explanation: ATP formation in glycolysis: Reaction Catalyzed by Method of ATP Formation ATP per mol of Glucose Glyceraldehyde 3-phosphate dehydrogenase Respiratory chain oxidation of 2 NADH 5 Phosphoglycerate kinase Substrate-level phosphorylation 2 Pyruvate kinase Substrate-level phosphorylation 2 Total 9 Consumption of ATP for reactions of hexokinase and phosphofructokinase -2 Net 7 Ref: Bender D.A., Mayes P.A. (2011). Chapter 18. Glycolysis & the Oxidation of Pyruvate. In D.A. Bender, K.M. Botham, P.A. Weil, P.J. Kennelly, R.K. Murray, V.W. Rodwell (Eds), Harper's Illustrated Biochemistry, 29e.